Which of the following is not a prerequisite for performing pneumatic retinopexy:
1. Fresh retinal detachment
2. Inferior retinal detachment
3. No air travel
4. Pt should be able to maintain position

Correct answer: 2. Inferior retinal detachment

Explanation: Superior retinal detachment is an indication of pneumatic retinopexy not inferior. Rx of RD PNEUMATIC RETINOPEXY * Gases provide tamponade. * Air is shortest acting, SF6 is long acting and C3F8 is longest acting. * Indication: -Recent onset RD -RRD -Superior break -Single break - Patient should be able to maintain the stable position. Contraindicated in old debilitated patients, mentally unstable patients